Commonest cause of cellulitis is
1. Staphylococcus
2. Streptococcus
3. E. coli
4. Hemophilus

Correct answer: 2. Streptococcus

Explanation: Ans. (b) Streptococcus(Ref: Bailey 26th 55)* Most common cause of cellulitis is Streptococci. Other causes include Staphylococci, and C.Perfringens